Most common film size used in dentistry:
1. 0&1
2. 0&2
3. 0&3
4. All of the above.

Correct answer: 2. 0&2